Which of the following has least effect on cardiovascular system -
1. Gallamine
2. Pancuronium
3. Tubocurarine
4. Atracurium

Correct answer: 4. Atracurium

Explanation: Ans. is 'd' i.e., Atracurium o Atracurium has no effect on cardiovascular system, so it can be used in patients with altered hemodynamics.